Wernicke's encephalopathy in alcohol consumption can be treated with
1. Pyridoxine
2. Thiamine
3. Riboflavin
4. Niacin

Correct answer: 2. Thiamine

Explanation: Alcohol-Induced Amnestic Disorder: (1) Wernicke's encephalopathy, Confabulation, Ataxia, Ophthalmoplegia (gaze palsy, lateral orbital palsy)horizontal nystagmus tends to reverse rapidly with thiamine supplementation. it can be remebered with a mnemonic GOA G====Global confusion O====ophthalmoplegia A====Ataxia (2) Korsakoff's syndrome (permanent in 50 to 70%): anterograde, retrograde amnesia and potential impairment in visuospatial, abstract, and other types of learning. .They respond to 50 to 100 mg of oral thiamine a day, usually administered for many months. Both are due to thiamine deficiency, causing neuropathological lesions symmetrically in mammillary bodies, thalamus, hypothalamus, midbrain, pons, medulla, fornix, and cerebellum. Reference: P.1279 11.2 Alcohol-Related DisordersKaplan & Sadock's Comprehensive Textbook of Psychiatry, 9th Ed